Inspiratory reserve volume measures around
1. 3000 ml
2. 1200 ml
3. 2000 ml
4. 4000 ml

Correct answer: 1. 3000 ml

Explanation: Inspiratory Reserve volume
It is the amount of air in excess of tidal inspiration that can be inhaled with maximum effort.
Normal value : 3,000 ml.